Fracture ala signature is a type of -
1. Gutter fracture
2. Depressed fracture of skull
3. Ring fracture at foramen magnum
4. Sutural separation

Correct answer: 2. Depressed fracture of skull

Explanation: Ans. is 4b' i.e.. Depressed fracture of skull o Fracture -ala-signature / signature fracture is also known as depressed fracture of skull vault.o Depressed fracture (signature fracture or fracture-ala signature) :1c caused by a heavy w eapon with a small striking surface, e.g. hammer which causes a piece of skull bone to get depressed into the cravial cavity.